A case of nephritis, presents with haematuria & hemoptysis, antinuclear membrane antibody are presents. Likely diagnosis is -
1. Good pasteur syndrome
2. Nephritic syndrome
3. Nephrotic syndrome
4. ullian bane syndrome

Correct answer: 1. Good pasteur syndrome